Best contraceptive for a Newly married healthy couple:-
1. Barrier method
2. IUCD
3. Oral contraceptive pills
4. Natural methods

Correct answer: 3. Oral contraceptive pills

Explanation: Contraceptive choices for a newly married healthy couple Oral contraceptive pills - Low failure rate - Ideal method of choice for newly married healthy couple. Barrier method - Has a high failure rate; only consistent use for 2 years. - Has advantage of HIV/STI protection but a 'healthy' couple may not need it. IUCD - Is not a method of first choice for nulliparous female. Natural methods - Has a high failure rate.